Below knee, amputation is done at the level of
1. 5 cm below tibial tuberosity
2. 10 cm below tibial tuberosity
3. 15 cm below tibial tuberosity
4. 20 cm below tibial tuberosity

Correct answer: 2. 10 cm below tibial tuberosity

Explanation: In below knee amputation, approximately 10 cm below the tibial tuberosity, an anterior incision of two-thirds of the circumference is created.Posterior flap is taken longerRef: Bailey and love pg: 958